Anatomical structure injured in excision of ranula -
1. Lingual vein
2. Lingual artery
3. Submandibular duct
4. Parotid duct

Correct answer: 3. Submandibular duct